Nephrotic syndrome is caused by all except -
1. Malaria
2. Penicillamine
3. Syphilis
4. Shock

Correct answer: 4. Shock